"Marfan - like syndrome" is associated with:
1. Alkaptonuria
2. Homocystinuria
3. Phenylketonuria
4. Maple syrup disease

Correct answer: 2. Homocystinuria

Explanation: Homocystinuria HOMOCYSTINURIA - Homocystinuria is similar in certain superficial aspects to Marfan's syndrome, (Marfan-like syndrome) since patients may show a similar body habitus and 'ectopia lentis is almost always present. - Intellectual disability is often present, and the cardiovascular events are those of repeated venous & arterial thrombosis. - Joints: Stiff.